Longitudinal ulcers in the intestine are seen in:
1. Tuberculosis
2. Typhoid
3. Amoebiasis
4. Yersinia

Correct answer: 2. Typhoid

Explanation: Ans. B: Typhoid In typhoid fever there is at first a general swelling of the Peyer's patch; it is an inflammatory swelling accompanied by abundant infiltration of leucocytes which occupy both the closed follicles and the mucous membrane. As the time goes on the whole tissue gets more and more infiltrated with leucocytes, and the raised patch gets more solid and its surface more homogeneous. On this condition follows Necrosis. The infiltrated and altered patch or solitary follicles forms a slough, of larger or smaller size. Mucosal shedding creates oval ulcers, oriented along the long axis of the ileum, that may perforate. Serpentine, elongated ulcers, oriented along the long axis of bowel is seen in Crohn's disease.